Ramucircumab is used in the treatment of :
1. Psoriasis
2. Non small cell carcinoma of lungs
3. Ascites
4. Severe asthma

Correct answer: 2. Non small cell carcinoma of lungs

Explanation: Ramucircumab is a monoclonal antibody aginst VEGFR-2 used in the treatment of Non small cell carcinoma of lungs , gastric carcinoma & colorectal carcinoma.